Treatment of choice for carcinoma of lip of less than 1 cm is:
1. Radiation
2. Chemotherapy
3. Excision
4. Radiation and chemotherapy

Correct answer: 3. Excision

Explanation: Ans: c (Excision)Ref: Bailey & Love, 24th ed, p. 712 & 23rd ed, p. 644